All are causes of acute tubulointerstitial nephritis except:
1. Methicillin
2. Sjogren syndrome
3. SLE
4. Down's syndrome

Correct answer: 4. Down's syndrome

Explanation: Acute Tubulointerstitial Disorders
Therapeutic agents 

Antibiotics (Beta-lactams, sulfonamides, quinolones, vancomycin, erythromycin, minocycline, rifampin, ethambutol, acyclovir)
Nonsteroidal anti-inflammatory drugs, COX-2 inhibitors
Diuretics (rarely thiazides, loop diuretics, triamterene)
Anticonvulsants (phenytoin, valproate, carbamazepine, phenobarbital)
Miscellaneous (proton pump inhibitors, H2 blockers, captopril, mesalazine, indinavir, allopurinol}

Infection 

Bacteria (Streptococcus, Staphylococcus. Legionella. Salmonella. Brucella. Yersinia. Corynebacterium- diphtheria)
Viruses (EBV, CMV, hantavirus, polyomavirus, HIV)
Miscellaneous (Leptospira Rickettsia, Mycoplasma

Autoimmune 

Tubulointerstitial nephritis with uveitis (TINU)
Sjögren's syndrome
Systemic lupus erythematosus
Granulomatous interstitial nephritis
lgG4-related systemic disease
Idiopathic autoimmune interstitial nephritis

Acute obstructive disorders 

Light chain cast nephropathy ("myeloma kidney”)
Acute phosphate nephropathy
Acute urate nephropathy